In a patient of Hemophilia to be taken for dental extraction true is all, EXCEPT-
1. All patients should be screened for HIV
2. Extraction should be done under general anaesthesia and skilled anaesthetic care
3. Factor VIII or cryoprecipitate can be needed
4. Dose of Lignocaine required for anaesthesia is same as that for normal individuals

Correct answer: 2. Extraction should be done under general anaesthesia and skilled anaesthetic care